Which of the following is antiplatelet drug -
1. Clopidogrel
2. Tranexemic acid
3. Streptokinase
4. Hirudin

Correct answer: 1. Clopidogrel

Explanation: Ans. is 'a' i.e., Clopidogrel o Platelet activationo Antiplatelet drugs# Ticlopidine, clopidogrel, prasugrel - they block inactivation(Prasugrel has to be added)o Cilastazole is a phosphodiesterase - 3 inhibitor and results in elevated cAMP levels. It reduces platelet aggregation and also possess peripheral vasodilatoiy action. It can be used for the treatment of intermittent claudication.o Bleeding is the main problem with all antiplatelet drugs.o Antiplatelet drugs are used for prophylaxis of MI (aspirin is used most commonly), cerebrovascular disease and in artificial heart valves (dipyridamole+warfarin is preferred).New antiplatelet AgentsTicagrelor and cangrelor are direct - acting reversible P2 Y12 receptor antagonists.Ticagrelor is orally effective. Recently approved by FDA.Cangrelor - intravenous.Vorapaxar and Atopaxar are orally active inhibitors of thrombin receptors on platelets called protease - activated receptor 1 (PAR -1).VORAPAXAR |||| OralProteaseThrombinReceptor Activated(Xa)